Drug induced myopathy can be caused by all of the following except:
1. atrovastaine
2. d-penicillamine
3. ciprofloxacin
4. chloroquine

Correct answer: 3. ciprofloxacin

Explanation: Ans. is 'c' i.e., ciprofloxacin The long list given on page 436 is not enough, also see the list given on page 2523.Its advised to go through both these lists and try to learn as many drugs as possible because this topic has been asked in two consecutive AIIMS papers (Also see question no. 57 from May 2002)I have picked up some important drugs from both these tables. Let's hope they are sufficient for future questions on this topic * Drugs causing myopathyclofibrate*lovastatin* (all the statins cause myopathy including Atorvastatin)Gemfibrozil*Chloroquine*Cyclosporine*D penicillamine*DanazolCimetidineGoldAmphotericin-BZidovudineGlucocorticoids